Magnan's symptoms is -
1. Illusion
2. Delusion
3. Formication
4. Depersonalization

Correct answer: 3. Formication

Explanation: Magnan's symptoms is tactile hallucination (fornication) i.e. feeling of bugs crawling under the skin.